Selective medium for shigella ?
1. Chocolate agar
2. BYCE medium
3. Hektoen agar
4. EMJH medium

Correct answer: 3. Hektoen agar

Explanation: Ans. is 'c' i.e., Hektoen agar